Which of the following metabolic disturbance is associated with the use of Amphotericin B?
1. Hypokalemia
2. Hyperkalemia
3. Hypermagnesemia
4. Hyponatremia

Correct answer: 1. Hypokalemia

Explanation: Electrolyte disturbance associated with the use of amphotericin B are hypokalemia and hypomagnesemia. In order to prevent kidney injury .9% saline should be administered prior to infusion of amphotericin B. Adverse effects of amphotericin B: Infusion of this drug is known to cause fever, chills, muscle spasms,vomiting, headache, and hypotension. It can be ameliorated by slowing the infusion rate or decreasing the daily dose. Renal damage is the most significant toxic reaction. Renal toxicity commonly manifests as renal tubular acidosis and severe potassium and magnesium wasting. Occasionally abnormalities in LFT and anemia are seen. Seizures and a chemical arachnoiditis may develop following intrathecal administration of amphotericin. Ref: CURRENT Medical Diagnosis & Treatment 2014 chapter e1. Basic & Clinical Pharmacology, 12e chapter 48.